Viruses causing hemorrhagic fever are-a) Lassa fever virusb) Yellow fever virusc) West Nile virusd) Crimean Congo viruse) Ross river virus
1. abd
2. bcd
3. abc
4. ab

Correct answer: 1. abd